An organism grown on agar shows green coloured colonies; likely organism is:
1. Staphylococcus
2. E.Coli
3. Pseudomonas
4. Peptostreptococcus

Correct answer: 3. Pseudomonas

Explanation: The above pigments account for the greenish colonies seen with psuedomonas. Ref: Text Book of Microbilogy By Ananthanarayan, 6th Edition, Page 294 ; Harrison's Principles of Internal Medicine, 14th Edition, Page 944